Vital bleaching temperature
1. 100-115℉
2. 115-140℉
3. 140-160℉
4. 160℉ - till patient tolerates

Correct answer: 2. 115-140℉

Explanation: The temperature safely tolerated by pulp is 115-140 °F